Water content is maximum in
1. ICF
2. ECF
3. Interstitial fluid
4. Plasma

Correct answer: 1. ICF

Explanation: (A) ICF # INTRACELLULAR FLUID (2/3 of body water) is fluid contained within cells. In a body containing 40 liters of fluid (ie. about 72 kg total weight), about 25 liters is intracellular, which amounts to 62.5% (5/8), close enough to the 2/3 rule of thumb. Jackson's texts states 70% of body fluid is intracellular.> Extracellular fluid (1/3 of body water) is fluid contained in areas outside of cells. For a 40 litre body, about 15 litres is extracellular, which amounts to 37.5% Again, this is close to the 1/3 rule of thumb cited here.> Plasma (1/5 of extracellular fluid). Of the 15 liters of extracellular fluid, plasma volume averages 3 liters. This amounts to 20%, the same as per Netter's Atlas.> Interstitial fluid (4/5 of extracellular fluid)> Transcellular fluid (a.k.a. "third space," normally ignored in calculations) contained inside organs, such as the gastrointestinal, cerebrospinal, peritoneal, and ocular fluids.